Which is not a component of  Influenza trivalent vaccine
1. H1N1 virus
2. Influenza B virus
3. H3N2 virus
4. H5N1 virus

Correct answer: 4. H5N1 virus

Explanation: It is a trivalent vaccine consisting 
a. H1N1
b. H3N2 
c. Influenza B virus